Which of the following DOESN’T develop from bronchial pouch:
1. Thyroid
2. Superior parathyroid
3. Inferior parathyroid
4. Thymus

Correct answer: 1. Thyroid

Explanation: Superior parathyroid derived from 4th branchial pouch
Inferior parathyroid and thymus develops from 3rd branchial arch
Most of the thyroid gland develops from thyroglossal duct (endodemal duct at foramen cecum).